Weight gain caused by antipsychotics is due to antagonism of:
1. 5 HT3
2. 5 HT2A
3. 5 HT2B
4. 5 HT2C

Correct answer: 4. 5 HT2C

Explanation: Ans. (D) 5HT2C (Ref: Goodman Gilman 12/e p435)Antipsychotics cause weight gain due to their antagonistic action on H1 and 5HT2C receptors.